Rosen's incision is used for ?
1. Septoplasty
2. SMR
3. Stapedectomy
4. Tonsillectomy

Correct answer: 3. Stapedectomy

Explanation: Ans. is 'c' i.e., Stapedectomy Rosen's incision is the most commonly used for stapedectomy through endomeatal or transcanal approach. Also know Lempe's incision is used for endural approach. Wilde's incision is used for postaural approach.